The intrapleural pressure is negative both during inspiration and expiration because:
1. Intrapulmonary pressure is always negative
2. Thoracic cage and lungs are elastic structure
3. Transpulmonary pressure determines the negativity
4. All

Correct answer: 2. Thoracic cage and lungs are elastic structure

Explanation: B i.e. Thoracic cage and lungs are elastic structures